Goal for blindness under NCPB-NRHM is to reduce prevelance of blindness in 2020 to?
1. 0.10%
2. 0.30%
3. 0.50%
4. 1.00%

Correct answer: 2. 0.30%

Explanation: ANSWER: (B) 0.3%REF: http ://india.gov.in/sectors/health_family/index .php?id=10National Programme for Control of Blindness:National Programme for Control of Blindness (NPCB) was launched in the year 1976 as a 100% Centrally Sponsored scheme with the goal to reduce the prevalence of blindness to 0.3% by 2020. Rapid Survey on Avoidable Blindness conducted under NPCB during 2006-07 showed reduction in the prevalence rate of blindness from 1.1% (2001-02) to 1% (2006-07).The objectives of the programme are:To reduce the backlog of blindness through identification and treatment of the blindTo develop Comprehensive Eye Care facilities in every districtTo develop human resources for providing Eye Care ServicesTo improve quality of service deliveryTo secure participation of Voluntary Organizations/Private Practitioners in eye Care.To enhance community awareness on eye care.